First drug to be used in absence seizures is :
1. Phenytoin
2. Benzodiazepines
3. Valproate
4. Carbamazepine

Correct answer: 3. Valproate